Body mass index of Pre-obese is:-
1. <18.5
2. 18.5-25
3. 25-30
4. >30

Correct answer: 3. 25-30

Explanation: Classification of adults according to BMI: Classification BMI Underweight < 18.50 Normal BMI 18.50-24.99 Overweight > 25 Pre-Obese 25-29.99 Obese Class 1 30.00 -34.99 Obese Class 2 35.00-39.99 Obese Class 3 > 40.00